Any lesion affecting the temporal lobe result in which of the following visual defect in the eye?
1. Bitemporal hemianopsia
2. Homonymous hemianopsia
3. Superior quadrantanopsia
4. Inferior quadrantanopsia

Correct answer: 3. Superior quadrantanopsia

Explanation: The temporal lobe contains the Meyer's loop which contains geniculocalcarine fibers that curves around the lateral ventricle and reach the temporal lobe, before proceeding toward the calcarine cortex. Meyer's loop carries optic radiation fibers which represent the upper part of the contralateral visual field. So any lesion of the temporal lobe result in superior quadrantopsia.Lesion of optic nerve result in impaired vision in one eye.Lesion of optic chiasma result in bitemporal hemianopsia.Lesion behind the optic chiasm result in contralateral homonymous hemianopsia.Ref: Waxman S.G. (2010). Chapter 15. The Visual System. In S.G. Waxman (Ed),Clinical Neuroanatomy, 26e.